ASHA is?
1. Village
2. Subcentre
3. PHC
4. CHC

Correct answer: 1. Village

Explanation: Accredited Social Health Activist (ASHA)
Accredited Social Health Activists (ASHA) will be involved to bring out suspected cases from their villages for diagnosis at PHC and after confirmation of diagnosis, will follow up the patients for completion of treatment. Her duties will be monitored by the concerned PHC medical officer. Activities to be performed by ASHA are as follows :

Search for suspected cases of leprosy i.e. before any sign of disability appears. Such early detection will help in prevention of disability and also cut down transmission potential.
Follow-up all cases for completion of treatment in scheduled time. During follow up visit, also look for symptoms of any reaction due to leprosy and refer them to the Health Workers/PHC for treatment. This will again reduce chances of disability occurring in cases under treatment.
Advise and motivate self-care practices by disabled cases for proper care of their hands and feet during the follow-up period. This will improve quality of life of the affected persons and prevent deterioration of disabilities.
Spreading awareness.

Parks textbook of preventive and social medicine 23rd edition
Page.no.426